All predispose to thrombosis except -
1. Homocystinuria
2. PNH
3. Polycythemia
4. Hypomagnesemia

Correct answer: 4. Hypomagnesemia

Explanation: Ans. is 'd' i.e., Hypomagnesemia